Dry drowning is defined as -
1. Drowning in sea water
2. Drowning in cold water, death due to cardiac arrest
3. Drowning in a dehydrated body
4. Drowning where death is due to laryngospasm

Correct answer: 4. Drowning where death is due to laryngospasm

Explanation: Dry drowning: On contact with water, especially cold water, there results in intense laryngospasm, so that water does not enter the lungs.
Death is due to asphyxia because of laryngospasm.